Sertoli cells have receptors for:
1. Inhibin
2. Luteinizing hormone
3. Follicle stimulating hormone
4. Melatonin

Correct answer: 3. Follicle stimulating hormone

Explanation: C i.e. FSH